Hand-food-mouth disease is caused by:
1. Coxsackie-A virus
2. Coxsackie-B virus
3. FBV
4. CMV

Correct answer: 1. Coxsackie-A virus

Explanation: Ans. a. Coxsackie - A virus